A 13 year old male patient complains that his chin is too backwardly placed. Extra-oral examination reveals a retrognathic mandible and darkened facial hair over his short upper lip can be appreciated. Which of the following dimensions will not be affected by further growth of the patient?
1. Width of the dental arches
2. Length of the jaws
3. Height of the face
4. Prominence of the chin

Correct answer: 1. Width of the dental arches

Explanation: For the three planes of space in both the maxilla and mandible, there is a definite sequence in which growth is "completed" (i.e., declines to the slow rate that characterizes normal adults). Growth in width is completed first, then growth in length, and finally growth in height. 
Growth in width of both jaws, including the width of the dental arches, tends to be completed before the adolescent growth spurt and is affected minimally if at all by adolescent growth changes. Intercanine width is more likely to decrease than increase after age 12.
Growth in length and height of both jaws continues through the period of puberty. In girls, the maxilla grows slowly downward and forward to age 14 to 15 on the average.
In both sexes, growth in vertical height of the face continues longer than growth in length, with the late vertical growth primarily in the mandible.
Contemporary orthodontics, William Proffit, 4th edition page 112